'Uvula' seen in bladder is?
1. Median lobe of prostate
2. Lateral lobe
3. Anterior lobe
4. Posterior lobe

Correct answer: 1. Median lobe of prostate

Explanation: Median lobe of prostate